What is true of iron:
1. It is stored in ferritin
2. It is absorbed by Transferrin in the intestine
3. Spleen in major storage organ
4. Fe++ is excreted in urine

Correct answer: 1. It is stored in ferritin

Explanation: A i.e. It is stored in ferritin